Aquaporin deficiency cause?
1. Nephrogenic diabetes insipidus
2. Liddle syndrome
3. Barter syndrome
4. Gitelman syndrome

Correct answer: 1. Nephrogenic diabetes insipidus

Explanation: 1. Nephrogenic diabetes insipidus: Aquaporin 2" gene mutation impede the normal functionality of the kidney water channel, which results in the kidney being unable to absorb water. Autosomal recessivemanner. 2. Liddle syndrome: Gain of function of epithelial Na channel (ENaC) 3. Bartter syndrome:- Defect in "Na-K-2Cl cotransporter, Cl channel & ROMK" in loop of Henle. 4. Gitelman syndrome: Defect in "Na+-Cl- cotransporter and TRPM6 transporter" in DCT.